All of the Following are true of placenta previa except;
1. Postpartum hemorrhage infrequent
2. First trimester bleeding is not uncommon
3. Premature labour is common
4. Malposition and malpresentation are common

Correct answer: 1. Postpartum hemorrhage infrequent

Explanation: The classical presentation is painless antepartum haemorrhage.The typical history is of the women waking up lying in a pool of blood.The initial bleeding is not severe ,but it stops only to recur at a a later.Painless and recurrent bouts of fever is common (refer pgno:129 sheila textbook of obstetrics 2 nd edition)